Reticular fibers found in periodontal ligament consist of
1. Type I
2. Type III
3. Type IV
4. Type XII

Correct answer: 2. Type III